Scope of family planning services include all of the following except -
1. Screening for cervical cancer
2. Providing services for unmarried mothers
3. Screening for HIV infection
4. Providing adoption services

Correct answer: 3. Screening for HIV infection

Explanation: FAMILY PLANNING 
Family planning refers to practices that help individuals or couples to attain certain objectives :-

To avoid unwanted births
To bring about wanted births
To regulate the intervals between pregnancies
To control the time at which birth occur in relation to the ages of the parent
To determine the number of children in the family

Scope of family planning services 

Proper spacing & limitation of births
Advice on sterility
Education for parenthood
Sex education
Screening for pathological conditions related to reproductive system eg. cervical cancer
Genetic counseling
Premarital consultation & examination
Pregnancy test
Marriage counseling
Preparation of couples for arrival of their Is' child
Providing services for unmarried mother
Teaching home economics & nutrition
Providing adoption services